Postoperative third-space accumulation should be managed by intravenous
1. Alburnin
2. Dextrose in water
3. Fluid restriction'
4. Normal saline

Correct answer: 4. Normal saline

Explanation: Normal saline Third-space fluid accumulation should be managed by replacement with normal saline. This may produce an edematous patient, but it maximizes protection of reral function and produces more rapid recovery. Intravenous administration of non-solute containing fluids compounds the problem. Administration of potassium-containing fluids may lead to cardiac irregularity, and fluid restriction makes the renal problems worse.